Most important criteria in using irrigating solution is
1. Volume of irrigation
2. Thickness of syringe used
3. Concentration of irrigant
4. None of above

Correct answer: 1. Volume of irrigation